Pulsatile mets seen in w hich cancer-
1. Lung cancer
2. Prostate cancer
3. Renal cancer
4. Breast cancer

Correct answer: 3. Renal cancer

Explanation: Ans. is 'c' i.e., Renal cancerPrimary tumours that may present as pulsating lesions:Telengiectatic osteogenic sarcomaAngioendothelioma/Angiosarcoma of boneAneurysmal bone cystGiant cell tumour (rarely)Secondary metastasis that may present as pulsating lesionsMetastasis from Renal cell carcinomaMetastasis from thyroid carcinoma.